Number of new cases occurring in a defined population during a specified period of time is known as:
1. Prevalence
2. Incidence
3. Relative risk
4. Attributable risk

Correct answer: 2. Incidence

Explanation: Ans. B i.e. Incidence Incidence is a measure of the risk of developing some new condition within a specified period of time. Although sometimes loosely expressed simply as the number of new cases during some time period, it is better expressed as a proportion or a rate with a denominator.